Herpes simplex encephalitis is diagnosed by -a) MRIb) Biopsyc) Corneal scrapping and cultured) EEG periodic lateralisede) CSF PCR of HSV DNA
1. abcd
2. abde
3. abd
4. ade

Correct answer: 2. abde